All of the following muscles of pollex are supplied by median nerve, EXCEPT?
1. Adductor pollicis
2. Opponens pollicis
3. Abductor pollicis brevis
4. Flexor pollicis brevis

Correct answer: 1. Adductor pollicis

Explanation: Pollex means Thumb, which means strong in latin. There are four short muscles of thumb (pollex), they are abductor pollicis brevis, opponens pollicis, flexor pollicis brevis and adductor pollicis. The first three of these muscles form the thenar eminence. All these muscles are supplied by median nerve except for adductor pollicis which is innervated by ulnar nerve.